Tomatoes are rich in
1. Citric acid
2. Oxalic acid
3. Acetic acid
4. Formic acid

Correct answer: 1. Citric acid